A 35-year-old woman has oligoclonal bands in a high-resolution electrophoresis of her spinal fluid. This laboratory test was most likely prompted by a chief complaint of
1. Loss of recent memory
2. Seizure activity
3. Dizziness and paresthesias
4. Severe occipital headaches

Correct answer: 3. Dizziness and paresthesias

Explanation: A woman who has oligoclonal bands in her spinal fluid most likely has a demyelinating disease, the most common of which is multiple sclerosis. Dizziness and paresthesias are common findings in demyelinating diseases. Memory loss, seizure activity, occipital headaches, and tunnel vision are not associated with features of demyelination. Oligoclonal bands are identified as narrow bands in the gamma globulin region. They are the product of different clones of plasma cells in the central nervous system (CNS) as a secondary response to chronic inflammation. They are present in other demyelinating diseases in the CNS, including subacute sclerosing panencephalitis and Guillain-Barre syndrome. ref - pubmed.com